Conventional cytogenetics are difficult in solid tumors especially in case of carcinoma cervix -a) High mitotic rateb) Bacterial contamination of the specimenc) Good metaphase activityd)  Inadequate biopsy specimen
1. c
2. d
3. bd
4. ac

Correct answer: 3. bd